All are true about Case control study EXCEPT:
1. Attribute risk
2. Measurement of exposure
3. Matching
4. Odds ratio

Correct answer: 1. Attribute risk

Explanation: Ans. (a) Attribute riskRef.: K. Park 23rd ed. / 71-72Case control study is often called retrospective study.The 4 Basic Steps of Case Control Study* Matching* Measurement of exposure* Selection of cases and controls* Analysis and interpretation (relative risk)Relative Risk =Incidence among exposed--------------------------Incidence among non-exposed